Hyperthyroid state is characterized by
1. Increased protein synthesis
2. Decreased glycolysis
3. Lipolysis
4. Increased cholestrol

Correct answer: 3. Lipolysis

Explanation: People with hypothyroidism often have no or only mild symptoms. Numerous symptoms and signs are associated with hypothyroidism, and can be related to the underlying cause, or a direct effect of having not enough thyroid hormones. Hashimoto's thyroiditis may present with the mass effect of a goiter (enlarged thyroid gland). Symptoms and signs of hypothyroidism Symptoms Signs Fatigue Dry, coarse skin Feeling cold Cool extremities Poor memory and concentration Myxedema (mucopolysaccharide deposits in the skin) Constipation, dyspepsia Hair loss Weight gain with poor appetite Slow pulse rate Shortness of breath Swelling of the limbs Hoarse voice Delayed relaxation of tendon reflexes In females, heavy menstrual periods (and later light periods) Carpal tunnel syndrome Abnormal sensation Pleural effusion, ascites, pericardial effusion Poor hearing Delayed relaxation after testing the ankle jerk reflex is a characteristic sign of hypothyroidism and is associated with the severity of the hormone deficit Ref: guyton and hall textbook of medical physiology 12 edition page number:567,568,569